Calibre is defined as -
1. Distance between two diametrically opposite grooves
2. Distance between two diametrically opposite lands
3. Distance between two diametrically opposite lands and grooves
4. Ratio of the length and width of the barrel

Correct answer: 2. Distance between two diametrically opposite lands

Explanation: The synopsis of forensic medicine & toxicology ; Dr k.s narayan reddy ; 28th edition ; Pg.no. 122 It is also called gauge . Also refer fig 8-16 (cross section of a rifled barrel)